Spleen develops from ?
1. Ventral mesogastrium
2. Dorsal mesogastrium
3. Hindgut mesentery
4. Midgut mesentery

Correct answer: 2. Dorsal mesogastrium

Explanation: Spleen develops in cephalic part of dorsal mesogastrium from its left layer during 6th week of intrauterine life into a number of nodule which soon fuse to form a lobulated spleen.Notching of superior border is an evidence of its multiple origin.The nodules which fail to fuse form accessory/supernumerary -spleen or spleniculi.These may be found at :i) Hilum of spleen (most common site).ii) Tail of pancrease.iii) Derivatives ofdorsal mesogastrium :- Greater omentum, gastrophrenic ligament, gastrosplenic ligament, linorenal ligament.iv) Broad ligament of uterus (in males) and spermatic cord (in female); both left side.